Sweat glands receives cholinergic innervation from
1. Pre-gangl ionic para-sympathetic
2. Post ganglionic sympathetic
3. Preganglionic sympathetic
4. Post ganglionic parasympathetic

Correct answer: 2. Post ganglionic sympathetic

Explanation: (B) Post ganglionic sympathetic > On the basis of chemical mediator released, ANS can be divided into- Cholinergic Noradrenergic All preganglionic neurons Remaining post ganglionic sympathetic neurons Anatomically sympathetic post Ganglionic neurons which innervate sweat glands Anatomically sympathetic neurons which end on blood vessels and skeletal muscles (Sympathetic vasodilators)